Cholinomimetics can be used for the treatment of following condition except
1. Closed angle glaucoma
2. Bradycardia
3. Cobra bite
4. Myasthenia gravis

Correct answer: 2. Bradycardia

Explanation: Chlolinometic drug will cause bradycardia as an adverse effect and thus cannot be used for its treatment Ref-KDT 6/e p104